Pseudomembranous conjunctivitis is caused by
1. Gonococcus
2. staphylococcus
3. Streptococcus
4. All of the above

Correct answer: 4. All of the above

Explanation: In pseudomembranous conjunctivitis the inflammatory membrane does not bleed on peeling Refer: Khurana 6th edition page number 65